ALL of the following statement regarding the ECG in acute pericarditis are true except -
1. T wave inversions develop before ST elevation retur to baseline
2. Global ST segment elevation is seen in early pericarditis
3. Sinus tachycardia is a common finding.
4. PR segment depression is present in majority of patients

Correct answer: 1. T wave inversions develop before ST elevation retur to baseline

Explanation: Ref: R.Alagappan Manual for Medicine 4th Edition pg no:112 Acute Pericarditis ECG shows * Sinus tachycardia * An elevated, concave upwards S-T segment * Upright, tall, peaked T-waves (earliest change) * No reciprocal changes in the opposite leads.